Duration of Extended sickness benefit under ESI Act 1948 is:-
1. 91 days
2. 309 days
3. 2 years
4. 3 years

Correct answer: 3. 2 years

Explanation: ESI Act -Employees State Insurance Act:- Chairperson of ESI Union Minister of labour Contribution of Employer 3.25% wages Contribution of Employee 0.75% wages Beneficiary of ESI People with income < 21,000 Benefits of ESI Sickness benefit 91 days (70% wages) Extended sickness benefits 2 years (80% wages) Enhanced sickness benefits 7days(V) 14days(T) (100% wages) Temporary disablement benefit 90% wages till recovery Permanent disablement benefit 90% wages Maternity benefit 100% wages for 26weeks Funeral expenses 15,000